A 28 year old female nearing her date of delivery has been admitted following regular contractions. The resident doctor did an examination documents that the head is at +1 station.Where is the exact position of head?
1. High up in the FALSE pelvis
2. Just above ischial spine
3. Just below ischial spine
4. At the perineum

Correct answer: 3. Just below ischial spine

Explanation: Station is leading point of Head. Station 0 = Head at level of Ischial spines + means below Ischial spines - means above Ischial spines Numbers like 1 , 2 denote distance in cm below or above Ischial spine